Motilin is secreted by cells ina) Stomachb) Duodenumc) Pancreasd)  Liver
1. ac
2. ab
3. ad
4. bc

Correct answer: 2. ab

Explanation: Motilin secreted by
-        M cells of duodenal mucosa (Main)
-        Stomach
 
-        Colon